Treatment of acute alcohol withdrawal:
1. Diazepam
2. Bupropion
3. Disulfiram
4. Acamprosate

Correct answer: 1. Diazepam

Explanation: Ans. Diazepam